Which of the following is not a genetic cause of Hypercoagulability?
1. Factor V mutation
2. Antithrombin III deficiency
3. Antiphospholipid antibody syndrome
4. Protein C deficiency

Correct answer: 3. Antiphospholipid antibody syndrome

Explanation: Hypercoagulable StatesPrimary (Genetic)Secondary (Acquired)CommonFactor V mutationProthrombin mutationIncreased levels of factors VIII, IX, XI, or fibrinogenHigh Risk for ThrombosisProlonged bed rest or immobilizationMyocardial infarctionAtrial fibrillationTissue injury (surgery, fracture, burn)CancerProsthetic cardiac valvesDisseminated intravascular coagulationHeparin-induced thrombocytopeniaAntiphospholipid antibody syndromeRareAntithrombin III deficiencyProtein C deficiencyProtein S deficiencyLower Risk for ThrombosisCardiomyopathyNephrotic syndromeHyperestrogenic states (pregnancy and postpartum)Oral contraceptive useSickle cell anemiaSmokingVery RareFibrinolysis defectsHomozygous homocystinuriaRef: Robbins and Cotran Pathologic Basis of Pathologic Disease; 9th edition; Chapter 4; Hemodynamic Disorders, Thromboembolic Disease, and Shock; Page no: 123; Table 4-2